Which is true of ulcerative colitis:
1. String sign of Kantor positive
2. Skip lesions are seen
3. Rectum is always involved
4. Fistulas are common

Correct answer: 3. Rectum is always involved

Explanation: Ans. (c) Rectum is always involved* In ulcerative colitis rectum is always involved.* In ulcerative colitis least involved area: Anus